A patient comes with sudden respiratory distress, on examination, bilateral basal crepts are present over chest suggestive of pulmonary edema with normal alveolar wedge pressure. The likely cause is
1. Narcotic overdose
2. Congestive heart failure
3. Myocardial infarction
4. Cardiogenic shock

Correct answer: 1. Narcotic overdose

Explanation: Answer is A (Narcotic overdose): Pulmonary edema with normal pulmonary capillary wedge pressure suggests a diagnosis of ARDS or non cardiogenic pulmonary edema. Narcotic overdose is the only non cardiogenic cause for pulmonary edema (ARDS) amongst the options provided and hence the answer here.